Hereditary spherocytosis is due to deficiency of:
1. Spectrin
2. Pyruvate kinase
3. Cytokeratin
4. Integrin

Correct answer: 1. Spectrin

Explanation: Ans. A: SpectrinHereditary spherocytosis (HS) is due to a deficiency of a protein called ankyrin.Ankyrins are cell membrane proteins (thought to interconnect integral proteins with the spectrin-based membrane skeleton)The ankyrin of red blood cells (erythrocytic ankyrin) is called ankyrin-R/ankyrin-1/ ANK1.